A 26 year old male presents to OPD with a circular, itchy, inflamed, slightly raised skin lesion He gives a history of his pet dog sleeps next to him. His dog has had some localized areas of hair loss. The patient has no other symptom. What would be expected on a KOH of skin scrapings?
1. Clusters of yeastlike cells and short curved septate hyphae
2. Hyphae with little branching but possibly with some hyphae breaking up into arthroconidia
3. Filariform larvae
4. Budding yeasts with some pseudohyphae and true hyphae

Correct answer: 2. Hyphae with little branching but possibly with some hyphae breaking up into arthroconidia

Explanation: Choice B- The case is ringworm acquired from a dog- Circular, itchy, inflamed, slightly raised. In tissue, any of the dermatophytes would show hyphae and arthroconidia. Choice A- Pityriasis versicolor would have the clusters of yeasts with short, septate, curved hyphae (spaghetti and meatballs appearance). Choice C - A filariform larvae would only be characteristic of dog hookworm, which is usually acquired from walking barefoot where there are dog feces. It would not be acquired from sleeping with the dog, and would not cause hair loss in the dog. Choice D describes Candida, which does not fit the case.